Green nail syndrome is caused by
1. Psedomonas aeruginosa
2. Pleisomonas
3. Aeromonas
4. Burkholderia

Correct answer: 1. Psedomonas aeruginosa

Explanation: It is a paronychia ( inflammation of the tisseues adjacent to the nail with green pus formation) . It results from prolonged submersion of the hands in water.